Vaccine which must be stored in the freezer compartment of a fridge is/are -a)  BCGb)  OPVc)  Measlesd)  Smallpoxe)  All of the above
1. ce
2. bc
3. cde
4. eb

Correct answer: 2. bc